A 3 year child having protein 3+ in urine with oliguria with edema. No hematuria. What is the diagnosis ?
1. Minimal change GN
2. Membranous GN
3. Mesangioproliferative GN
4. RPGN

Correct answer: 1. Minimal change GN

Explanation: Minimal Change Disease (MCD for short) is a kidney disease in which large amounts of protein is lost in the urine. It is one of the most common causes of the Nephrotic Syndrome worldwide. The kidneys normally work to clean the blood of the natural waste products that build up over time. Reference: GHAI Essential pediatrics, 8th edition